Following is feature of Fusch's hetero chromic iridocyclitis ?
1. Heterochromia of iris
2. Keratic precipitates
3. Posterior subcapsular cataract
4. All the above

Correct answer: 4. All the above

Explanation: Ans. is 'd' i.e., All the above Fuch's heterochromic iridocyclitis (Fuch's uveitis syndrome) It is a form of anterior and intermediate uveitis. The condition is usually unilateral and chronic in nature and is characterized by a chronic non-granulomatous uveitis and eventually results in iris heterochromia (a change in the colour of iris). The disease has following characteristic features : i) Heterochromia of iris ii) Diffuse stromal iris atrophy iii) Fine KPs at back of cornea iv) Faint aqueous flare v) Absence of posterior synechiae vi) A fairly common rubeosis iridis, sometimes associated with neovascularisation of the angle of anterior chamber. vii) Comparatively early development of complicated cataract and secondary glaucoma (usually open angle type). Glaucoma has been reported in 10-59% of cases. Treatment Fuch's heterchromic uveitis responds variable to steroids and cycloplegics. The complications of long term use of these drugs may at times outweigh their potential benefits. Therefore, treatment with topical steroids is given to iritis which is sufficiently active to require the treatment, otherwise the patient is routinely followed without giving any treatment. Cataract responds well to most forms of intraocular surgeries, including the standard IOL implantation. Hyphemia may occur because of rubeosis iridis (neovascularization of iris). Glaucoma control may be somewhat more problematic, with surgical options indicated for later forms of disease